Most common cause of pseudopancreatic cyst in children is -
1. Chloledochal cyst
2. Annular pancreas
3. Drug induced pancreatitis
4. Traumatic pancreatitis

Correct answer: 4. Traumatic pancreatitis

Explanation: Pancreatic pseudocyst follows acute attack of pancreatitis and trauma is the most common cause of acute pancreatitis in children.

Most common causes of acute pancreatitis in children include:

Blunt abdominal injuries,
Mumps and other viral illnesses
Congenital anomolies